A 12 year old boy presented with complaints of progressive head ache and visual disturbance which is not improved by any medical approaches. During evaluation CT scan of the head shows supracellar enlargement with calcification is seen. The diagnosis is?
1. Craniopharyngeoma
2. Meningioma
3. Neurocysticercosis
4. Astrocytoma

Correct answer: 1. Craniopharyngeoma

Explanation: In children Craniopharyngeoma presents as visual disturbance and growth failure. A craniopharyngioma is a slow-growing, extra-axial, epithelial-squamous, calcified, and cystic tumor arising from remnants of the craniopharyngeal duct and/or Rathke cleft and occupying the (supra) sellar region. Craniopharyngiomas most frequently arise in the pituitary stalk and project into the hypothalamus. The most common presenting symptoms are headache (55-86%), endocrine dysfunction (66-90%), and visual disturbances (37-68%).